Neurofibromatosis all are true except
1. Autosomal recessive
2. Scoliosis
3. Neurofibroma
4. Association with cataract

Correct answer: 1. Autosomal recessive

Explanation: A i.e. Autosomal recessive